Factor increasing gastric emptying
1. Presence of fatty food in stomach
2. Distension of stomach
3. Presence of tryptophan in stomach
4. Presence of acid in stomach

Correct answer: 2. Distension of stomach

Explanation: Factors affecting increasing Gastric emptying (predominantly neural pathway is involved) Increased food volume in the stomach- gastric distension - stretch receptor activation -promotes increased emptying from the stomach. Type of food: order of gastric emptying is carbohydrate > protein > fat Gastrin has mild to moderate effect on gastrin emptying. Gastric distension and product of protein digestion stimulates gastrin release while acid in stomach inhibits gastrin release.